Pasteurization is_____disinfection-
1. Precurrent
2. Concurrent
3. Preconcurrent
4. Terminal

Correct answer: 1. Precurrent